An intern was doing saphenous cannulation for a burn patient. Then the patient developed sudden onset of pain along the medial border of the corresponding foot. Which nerve must have beenaccidentally ligated?
1. Sural nerve
2. Deep peroneal nerve
3. Saphenous nerve
4. Genicular nerve

Correct answer: 3. Saphenous nerve

Explanation: Ans. is 'c' i.e., Saphenous nerve